Plethoric lung fields are seen in all of the following conditions, except:
1. Atrial septal defect (ASD)
2. TAPVC (Total Anomalous Pulmonary venous connection)
3. Ebstein's' anomaly
4. Ventricular septal defect

Correct answer: 3. Ebstein's' anomaly

Explanation: Ebsteins' anomaly : Plethoric lung fields are seen in conditions which increase pulmonary blood flow. They are: Left to right shunt - ASD, VSD, PDA, Coronary artery fistula into right heart, Aortopulmonary window Transposition of great arteries with ASD or VSD Truncus arteriosus Total anomalous pulmonary venous connection